Hemoperfusion with charcoal is useful in poisoning with : -
1. Phenytoin.
2. Methanol
3. Ethylene glycol
4. All of the above

Correct answer: 1. Phenytoin.

Explanation: #NAME?